A presents with unconjugated liypcrbilinibinemia and elevated urobilinogen levels In urine.The most likely diagnosis is-
1. Hemolytic Jaundice
2. Crigler Najjar syndrome
3. Gilbert's syndrome
4. Dubin Johnson syndrome

Correct answer: 1. Hemolytic Jaundice

Explanation: Excessive red cell destruction.Incresed production of bilirubin.liver's capacity to conjugate large amount of bilirubin is exceeded. Reference Harsh Mohan page no.598